Which of the following is not a part of duties of anganwadi worker:
1. Immunization
2. Health check-ups
3. Conducting deliveries
4. Supplementary nutrition

Correct answer: 3. Conducting deliveries

Explanation: Ans. C: Conducting deliveries Anganwadi means courtyard. Under the Integrated Child Development Scheme, one anganwadi worker is allotted to a population of 1000. Anganwadi worker is trained in various aspects of health, nutrition and child development. The duties of anganwadi worker are: Regular health check-up including maintenance of growth chart Immunization. Health education. Non-formal pre-school education. Supplementary nutrition Referral services.